Amyl Nitrate is used as an antidote in...poisoning :
1. CO2
2. CO
3. Cyanide
4. Nitric acid

Correct answer: 3. Cyanide

Explanation: C i.e. Cyanide